Life-threatening intravascular hemolysis, due to a toxin with lecithinase activity, occurs with sepsis due to:
1. Pseudomonas
2. Babesia
3. Parvovirus B 19
4. Clostridium perfringens

Correct answer: 4. Clostridium perfringens

Explanation: Life-threatening intravascular hemolysis, due to a toxin with lecithinase activity, occurs with Clostridium perfringens sepsis. Reference: Harrisons Principles of Internal Medicine, 18th Edition, Page 881